Major apolipoprotein of chylomicrons -
1. B-100
2. D
3. B-48
4. None

Correct answer: 3. B-48

Explanation: Ans. is 'c' i.e., B-48 TypeFound inSite of synthesisFunctionApo-A AI-IHDL, Chylomicrons QLiver, intestineMajor structural protein of HDL Q, major activator of LCAT Q -A-IIHDL, ChylomicronsLiver, intestineStructural protein of HDL, inhibits lipoprotein lipase (LPL), stimulate hepatic lipase, inhibits LCATA-IVHDL, ChylomicronsIntestine A-VChylomicrons, VLDLLiver lipolysisPromotes lipoprotein lipase (LPL) mediated triglycerideApo-B B-100LDL. VLDL, IDLLiverStructural protien of VLDL, IDL; only apoprotein of LDL Q; mediate uptake of LDL by LDL receptors Q of liverB-48Chylomicrons QIntestineStructural protein of chylomicronsApo-C C-IChylomicrons Q, VLDL, HDLLiverInhibits choiesteryl ester transfer protein (CETP), Activates LCAT and LPL QCIIIChylomicrons, VLDL, HDLLiverActivates lipoprotein lipase Q (major activator)c-inChylomicrons VLDL, HDL Liver Inhibits lipoprotein lipase QApo-DHDLSpleen, brain, testes, adrenal Apo-EChylomicrons Q, VLDL, HDLLiverMediates uptake of chylomicron remnants and IDL by LDL receptors Q in liver